Which one of the following vaccines is contraindicated in children with egg allergy?
1. MMR
2. Yellow Fever
3. DPT
4. BCG

Correct answer: 2. Yellow Fever

Explanation: Vaccines Contraindicated in Egg allergy are: Yellow fever vaccine Influenza vaccine EXTRA EDGE: - Vaccine causing thrombocytopenia - Measles vaccine - Strains included in meningococcal Vaccine- A, C, Y, W-135 - Heat sensitive vaccines - OPV, Reconstituted BCG, Measles vaccine - Light sensitive vaccines - Measles vaccine, BCG, Rota, JE vaccine - Freeze sensitive vaccines -Hep B, Pentavalent, TT, DPT vaccine